Which of the following is a subepidermal vesiculobuilous disorder-
1. Pemphigus vulgaris
2. Bullous pemphigoid
3. Pemphigus vegetans
4. Pemphigus erythematosus

Correct answer: 2. Bullous pemphigoid

Explanation: Ans. is 'b' i.e., Bullous pemphigoid 1 Immunohuilous disorders due to autoimmunity (also called primary blistering disease)A) IntraepidermalB) Subepidermalo Pemphiguso Bullous pemphigoid# Pemphigus vulgariso Dermatitis herpatiformis# Pemphigus foliaceouso Epidermolysis bullosa acquisita# Pemphigus vegetans # Pemphigus erythematosus 2 Mechanobullous disorders (due to defect in structure and organization of epidermis or dermoepidermal junction)o Epidermolysis bullosao Bullous ichthyosiform erythroderma3.Other disorders1. Infections - VZV, HSV, Bullous impetigo. Staphylococcus scalded skin syndrome2. Metabolic - Porphyria. Diabetes. Hemodialysis3. Drug eruptions - Fixed drug eruption, Stevens-johnson syndrome, Erythema multiforme.